Weight of a child triples at:
1. 6 months
2. 1 year
3. 18 months
4. 2 year

Correct answer: 2. 1 year

Explanation: Ans. B: 1 year Normal Weight Increase: Weight doubles by 6 months of age Weight triples by 1 year of age Weight quadruples by 2 years of age Annual increase (Ages 2-9): 2.0 kg/year